Toxoplasma in children causes:
1. Chorioretinitis
2. Conjunctivities
3. Keratitis
4. Papillitis

Correct answer: 1. Chorioretinitis

Explanation: Ans. a. Chorioretinitis